An 8th month primigravida presented with severe pruritus. Examination revealed mild icterus. Her serum bilirubin was 3mg/dl. She has elevated AST, ALT and Alkaline phosphatase. Her RFT and coagulation profile were within normal limits. She could probably be having?
1. HELLP syndrome
2. Hepato renal syndrome
3. Obstetric cholestasis
4. Viral hepatitis

Correct answer: 3. Obstetric cholestasis

Explanation: The presence of pruritus with jaundice points to presence of cholestatic component. The presence of SAP increasing the credibility of diagnosis of obstetric cholestasis HELLP syndrome is ruled out as coagulation profile is normal Hepatorenal syndrome is ruled out as RFT is normal. The closest choice is viral hepatitis which presents with jaundice with marked elevation of AST, ALT and SAP being mostly normal.